Strongest stimulus of lactation is by :
1. Metoclopramide
2. Post partum hemorrhage
3. Bromocripti ne
4. Suckling

Correct answer: 4. Suckling

Explanation: Suckling